Trace element not needed is -
1. Chromium
2. Molybdenum
3. Magnesium
4. Cesium

Correct answer: 4. Cesium